Ipsilateral supraclavicular lymphnodes are positive in a patient of Ca Breast. Stage is:
1. II
2. III B
3. III C
4. IV

Correct answer: 3. III C

Explanation: HI C Metastasis to ipsilateral supraclavicular lymphnodes is classified as N3c and stage Mc. Note that Metastasis to contralateral supraclavicular lymphnode is classified as distant metastasis i.e. MI hence stage IV. American joint Committee on Cancer Staging System for Breast Cancer, 2002 (p) T (Primary Tumor) Tis Carcinoma in situ (lobular or ductal) T1 Tumor 5_2cm Tla Tumor _.0.1 cm, 0.5 cm Tlb Tumor >0.5 cm, 5_1 cm Tlc Tumor <1 cm, 2 cm T2 Tumor >2 cm, 5 cm T3 Tumor >5 cm T4 Tumor any size with extension to the chest wall or skin T4a Tumor extending to the chest wall (excluding the pectoralis) T4b Tumor extending to the skin with ulceration, edema, satellite nodlues T4c Both T4a and T4b T4d Inflammatory carcinoma (p) N (Nodes) NO No regional node involvement, no special studies c No regional node involvement, negative IHC NO (r) NO (ii) Node(s) with isolated tumor cells spanning <0.2 mm NO (mon Negative node(s) histologically, negative PCR NO (tnor) Negative node(s) histologically, negative PCR NI Metastasis to 1-3 axillary nodes and/or int. mammary positive by biopsy NI (mic) Micrometastasis (>0.2 mm, none >2.0 mm) NI a Metastasis to 1-3 axillary nodes N I b Metastasis in int. mammary by sentinel biopsy N I c Metastasis to 1-3 axillary nodes and int. mammary by biopsy N2 Metastasis to 4-9 axillary nodes or int. mammary clinically positive, without axillary metastasis N2a Metastasis to 4-9 axillary nodes, at least 1 >2.0 mm N2b Int. mammary clinically apparent, negative axillary nodes Metastasis to .10 axillary nodes or combination of axillary and int. mammary metastasis N3 N3a _.10 axillary nodes (>2.0 mm), or infraclavicular nodes Nab Positive int. mammary clinically with 1 axillary nodes or>3 positive axillary nodes with int. mammary positive by biopsy Metastasis to ipsilateral supraclavicular nodes N3c M (Metastasis) MO No distant metastasis M I Distant metastasis 1HC, immunolust )chemistry; int, mammary, internal mammary lymph nodes; (p), pathologic staging of the tumor or axillary nodes; PCR, polymerise chain reaction. American joint Committee on Cancer Stage Grou in STAGE TNM 5-YEAR RELATIVE SURVIVAL RATE (%)* 0 Tis, NO, MO 100 I T1, NO, MO 100 11A TO, NI, MO 92 T1, NI, MO T2, NO, MO BB T2, NI, MO 81 T3, NO, MO IIIA TO, N2, MO 67 TI, N2, MO T2, N2, MO T3, NI, MO T3. N2, MO IIIB T4, NO, MO 54 T4, NI, MO T4, N2, MO IIIC Any T, N3, MO IV Any T, any N, MI 20